Which of the following type of facebow is most commonly used for complete denture fabrication:
1. Kinematic face bow.
2. Arbitrary face bow.
3. Any of the above.
4. None.

Correct answer: 2. Arbitrary face bow.

Explanation: Arbitrary face bows are used to record terminal hinge axis arbitrarily. It is most commonly used in complete denture prosthodontics. It may be of facia type or earpiece type.
Kinematic face bow is used to determine and locate the exact hinge axis point. It is attached to lower jaw. It is not used for complete denture fabrication. It is generally used for the fabrication of FPD and full mouth rehabilitation.